Angel dust is:
1. Phencyclidine
2. LSD
3. Morphine
4. Cannabis

Correct answer: 1. Phencyclidine

Explanation: Ans. Phencyclidine